Alpha wave on EEG represent
1. Awake and fully alert
2. Awake with eyes closed with mind wandering
3. Awake with eyes open
4. Deep sleep

Correct answer: 2. Awake with eyes closed with mind wandering